Sirolimus is more likely than cyclosporine to cause
1. Hypertension
2. Osteoporosis
3. Renal insufficiency
4. Thrombocytopenia

Correct answer: 4. Thrombocytopenia

Explanation: Clyclosporine and tacrolimus cause nephrotoxicity as an adverse effect. Sirolimus results in bone marrow suppression and thus may cause anemia ,thrombocytopenia and leukopenia